A 32-year old male with no past medical history is brought to the emergency department after being injured in a bomb blast. On examination he is suspected to have a splenic injury and is supposed to undergo an emergency laparotomy. Which of the following is the ideal anaesthetic agent of choice?
1. Remifentan
2. Morphine
3. Etomidate
4. Halothane

Correct answer: 3. Etomidate

Explanation: Ans. c. Etomidate